Hyoid bone fracture does not occur in:
1. Hanging
2. Strangulation
3. Throttling
4. Choking

Correct answer: 4. Choking

Explanation: Ans. Choking